The ratio of the median lethal dose of the median effective dose is the
1. Morbidity index
2. Moratality index
3. Anesthetic ratio
4. Therapeutic index

Correct answer: 4. Therapeutic index